When sample size is small and observations are dependent of each other, which test is used for significance of difference between two mean?
1. Fisher test
2. Unpaired —t test
3. Paired — t test
4. Z-test

Correct answer: 3. Paired — t test